Gluten sensitive enteropathy is strongly associated with:-
1. Blood group B
2. HLA-DQ3
3. HLA-DR4
4. HLA-DQ2

Correct answer: 4. HLA-DQ2

Explanation: Gluten sensitive enteropathy /CELIAC SPRUE have a definitive association with HLA DQ2 / DQ8 Also associated with other immune diseases including type 1 diabetes, thyroiditis & Sjogren syndrome Diagnosis of celiac sprue is done by: Multiple intestinal biopsies - Villous atrophy, crypts hyperplasia along with lymphocytic infiltration Detecting antibodies like anti-TTG antibody ; anti-endomysial antibody Skin biopsy showing destruction to dermal papillae by IgA resulting in Dermatitis herpetiformis Normal villus in the small intestine Atrophy of the villi, lengthening of the crypts, and a heavy chronic inflammatory infiltrate in the lamina propria. Dermatitis herpetiformis showing vesicles with erythema on the extensor surface of the forearm.